Which one of the following is NOT a feature of autosomal recessive disorder?
1. Wide variation in phenotype within a family
2. Males and females are equally affected
3. Parents of an affected child are heterozygous carriers
4. Display horizontal pattern in pedigrees

Correct answer: 1. Wide variation in phenotype within a family

Explanation: To have an autosomal recessive disorder, you inherit two mutated genes, one from each parent. These disorders are usually passed on by two carriers. Their health is rarely affected, but they have one mutated gene (recessive gene) and one normal gene (dominant gene) for the condition. Two carriers have a 25 percent chance of having an unaffected child with two normal genes (), a 50 percent chance of having an unaffected child who also is a carrier (middle), and a 25 percent chance of having an affected child with two recessive genes